Anti-inflammatory drug that can safely be used in children is
1. Paracetamol
2. Ibuprofen
3. Diclofenac
4. Nimesulide

Correct answer: 2. Ibuprofen

Explanation: Ans. b (Ibuprofen). (Ref. KDT 6th/pg. 191)AnalgesicPropertiesNimesulideDue to gastrointestinal, dermatological, renal & fulminant hepatic failure side effects, its safety, especially in children is questional. Banned in USA.IbuprofenSafest conventional NSAID.But should not be prescribed to pregnant women & peptic ulcer disease patients.ParacetamolIt has negligible anti-inflammatory action.HepatotoxicDiclofenacanalgesic-antipyretic anti-inflammatory drug is Ulcerogenic